Obturator nerve innervates all of the following muscles except
1. Adductor longus
2. Pectineus
3. Obturator internus
4. Obturator externus

Correct answer: 3. Obturator internus

Explanation: Obturator nerve innervates
-        Muscular branches
o   Anterior division

Pectineus
Adductor longus
Adductor brevis
Gracillis

o   Posterior division

Obturator externus
Adductor magnus

-        Articular branches
o   Anterior division

Hip joint

o   Posterior division

Knee joint

-        Vascular branches
o   Anterior division

Femoral artery